Decreased ability to smell is
1. Anosmia
2. Hyposmia
3. Phantosmia
4. Hyperosmia

Correct answer: 2. Hyposmia

Explanation: (B) Hyposmia # Hyposmia: Hyposmia is a state of decreased sensation of smell> Disorders of the Sense of Smell: Transport losses - Rhinitis, polyps/neoplasms of nasal cavity Sensory losses - Drugs, radiation therapy, toxin exposure Neural losses - Alps, alcoholism, Alzheimer's, Kallman syndrome, hypothyroidism etc.,> Treatment: There is no proven treatment for sensorineural olfactory losses. Fortunately, spontaneous recovery often occurs.> Zinc and vitamin therapy (especially with vitamin A) are advocated by some.> Profound zinc deficiency can produce loss and distortion of the sense of smell but is not a clinically important problem except in very limited geographic areas